Which of these antihypertensives DO NOT have any central action ?
1. Propranolol
2. Methyldopa
3. Clonidine
4. Prazosin

Correct answer: 4. Prazosin